Treatment of severe intraoral infections in children
differs from that in adult because:
1. More children are allergic to penicillin
2. Dehydration occurs more rapidly and severely in children
3. Leucocytopenia develops more frequently in children
4. Incidence of bleeding disorders is greater in children

Correct answer: 2. Dehydration occurs more rapidly and severely in children

Explanation: Treatment of severe intraoral infections in children diﬀers from that in adult because dehydration occurs more rapidly and severely in children.